Earliest fetal anomaly to be detected by USG :
1. Hydrocephalous
2. Anencephaly
3. Achondroplasia
4. Spina bifida

Correct answer: 2. Anencephaly

Explanation: Anencephaly